How to differentiate between psychological and organic erectile dysfunction
1. Nocturnal penile tumescence
2. PIPE therapy
3. Sildenafil induced erection
4. Squeeze technique

Correct answer: 1. Nocturnal penile tumescence

Explanation: Psychological impotence usually occurs acutely. The early morning erections and erections during REM sleep (nocturnal penile tumescence; NPT) are usually preserved. If a man reports of spontaneous erections at times when he does not plan to have an intercourse, having morning erections, or having good erections with masturbation or with partners other then his usual one, the organic causes can be considered negligible. Nocturnal penile tumescence is a normal physiological phenomenon seen in males during early morning hours. Squeeze technique is used in pre mature ejacualtion Ref: A Short Textbook of Psychiatry, Niraj Ahuja, 7th Edition, pg. no. 128, 130 Synopsis of Psychiatry, 11e, pg 577.